Disclosure of identity of Rape Victim is protected under which of the following sections of IPC -
1. Section 298A
2. Section 228A
3. Section 226A
4. Section 225A

Correct answer: 2. Section 228A

Explanation: Section 228(A) IPC prohibits disclosure of identity of rape victim.